Rare orbit sign is seen in:
1. NF I
2. NF II
3. Sturge weber syndrome
4. Tuberous sclerosis

Correct answer: 1. NF I

Explanation: Ans. NF I